"Induseum Griseum" is a thin layer of grey matter in proximity to the corpus callosum. How is it related to it?
1. Lateral to the corpus callosum
2. Dorsal to the corpus callosum
3. Ventral to the corpus callosum
4. Medial to the corpus callosum

Correct answer: 2. Dorsal to the corpus callosum

Explanation: The convex superior part of corpus callosum(dorsal) is covered by a thin layer of grey matter, the indusium griseum, embedded in which are the fibre bundles of bilateral medial and lateral longitudinal striae.Superiorly, it is also related to anterior cerebral vessels and cingulate gyrus.Ventrally, it is attached with the convex superior aspect of fornix by septum pellucidum. It is also related to lateral ventricle.(Ref: Vishram Singh textbook of clinical neuroanatomy, second edition pg 164, fig14.4)